Flushing with alcohol is seen in all except
1. Amoxicillin
2. Co-trimoxazole
3. Furazolidone
4. Chlorpropamide

Correct answer: 1. Amoxicillin

Explanation: Ans. (A) Amoxicillin(Ref: KDT 8th/e p383; Niraj Ahuja 5th/e p43)DRUGS CAUSING DISULFIRAM LIKE REACTIONMetronidazoleCefoperazoneCefamandoleCefotetanMoxalactamChlorpropamideProcarbazineGriseofulvin